All of the following vaccines are live vaccines except:
1. BCG
2. OPV
3. DPT
4. Measles

Correct answer: 3. DPT

Explanation: c. DPT(Ref: Ghai 8/e p 193)DTwP is composed of tetanus and diphtheria toxoids as well as killed whole cell pertussis bacilli adsorbed on insoluble aluminium salts which act as adjuvants.